Extrinsic pathway of clotting factors is measured by?
1. Prothrombin time
2. Activated partial thromboplastin time
3. Bleeding time
4. Clotting time

Correct answer: 1. Prothrombin time

Explanation: Ans. (a) Prothrombin timeRef: Robbin's pathology 9th ed. /116-18Prothrombin timeExtrinsic pathwayFactor 5/7Activated partial thromboplastin timeIntrinsic pathwayFactor 8Bleeding timePlatelet function and platelet countPlatelet function and count